Length of esophagus in adults is:
1. 25 cm
2. 10 cm
3. 15 cm
4. 20 cm

Correct answer: 1. 25 cm

Explanation: The esophagus is a muscular, collapsible tube about 10 in. (25 cm) long that joins the pharynx to the stomach. The esophagus enters the abdomen through an opening in the right crus of the diaphragm.After a course of about 0.5 in. (1.25 cm), it enters the stomach on its right side.